Treatment of acute dacrocystitis in stage of cellulitis is -
1. Antibiotics
2. Abscess drainage
3. DCT
4. DCR

Correct answer: 1. Antibiotics

Explanation: Systemic and topical antibiotics to control of infection , antinflammatory analgesic drugs and hot fomentation to relieve pain and sweling. Ref: ak khurana 6th edition